Stain used for pneumocystis carinii is:
1. Methylene blue
2. Gram stain
3. Hematoxylin and eosin
4. Methenamine silver

Correct answer: 4. Methenamine silver

Explanation: Ans: dRef: Chandrasoma Taylor, 3rd ed, p. 347